When osteoblast lay new bone from outside to inside in a osteon, the active formation area is called:
1. Haversion cone
2. Filling cone
3. Cutting cone
4. Howships cone

Correct answer: 2. Filling cone